Most common cause of neuropathic joint is:
1. Diabetes mellitus
2. Hypertension
3. Leprosy
4. Tabes dorsalis

Correct answer: 1. Diabetes mellitus

Explanation: (Diabetes mellitus): Ref: 89-A, 2060-HNeuropathic joint Disease: (Charcot's disease): - a type of destructive arthropathy arising from loss of pain sensibility and position sense* Most common causes are neurosyphilis (affecting mainly the lower limb joints) syringomyelia (upper and lower limbs) multiple sclerosis, myelomeningocele, spinal cord compression, peripheral neuritis (usually diabetic) leprosy and congenital indifference to pain, yaws, peroneal muscular atrophy (charcot - Marie Tooth, disease, and Amyloidosis* Neuropathic arthropathy was first described in Tabes dorsalis* Today, diabetes melliltus is the most frequent cause of the neuropathic joint disease (2060-Harrison's 16th)